Emporiatrics refers to study of
1. Occupational disease
2. Air pollution
3. Health of travelers
4. Environmental factor

Correct answer: 3. Health of travelers

Explanation: Travel medicine or ‘Emporiatrics’ is the branch of medicine that deals with the prevention and management of health problems of international travelers.